A 2-year old child is spinned around by his father holding his hand. Suddenly the child started crying and did not allow his father to touch his elbow. Which of the following is the likely diagnosis?
1. Pulled elbow
2. Supracondylar fracture
3. Fracture olecranon process
4. Radial head dislocation

Correct answer: 1. Pulled elbow

Explanation: Ans. a. Pulled elbow